In Burkitts lymphoma , translocation seen is chromosome -
1. 12 -14 translocation
2. 8 -14 translocation
3. 4 - 8 translocation
4. 12-18 translocation

Correct answer: 2. 8 -14 translocation

Explanation: In burkitt's lymphoma ,demonstration of a very high proliferative fraction & the presence of the t(8;14) or one of its variants,t(2;8) or t(8;22) can be confirmatory.

Reference :Harrison's Principles of internal medicine 18 th edition pg no 931